Burkholderia cepacia is intrinsically resistant to:
1. Doxycycline
2. TMP-SMX
3. Polymyxin B
4. Meropenem

Correct answer: 3. Polymyxin B

Explanation: Burkholderia cepacia complex strains are intrinsically resistant to a wide range of antimicrobial agents including Aminoglycosides, Polymyxin, First and Second generation cephalosporins and Carboxypenicillins. TMP-SMX, Meropenem and Doxycycline are the most effective agents in vitro and may be started as first-line agents. Burkholderia cepacia: Gram Negative, rod-shaped, motile bacteria with obligate aerobic characteristic) Recognized as an antibiotic-resistant nosocomial pathogen in ICU patients Cause of the 'Cepacia syndrome' in CF patient (Rapidly fatal syndrome of respiratory distress and septicemia) Intrinsically Resistant B.cepacia complex strains are intrinsically resistant to a wide range of anti microbial agents Susceptible Antimicrobial agents that are effective agianst B.cepacia complex in vitro include Aminoglycosides Polymyxins (Polymyxin B) First and Second generation of Cephalosporins Carbocypenicillins Trimethoprim-Suplhamethoxazole (Co-trimaxazole) Carbapenems (Meropenem) Cephalosporins (Third generation e.g., Ceftazidime) Ureidopenicillins Fluroquinolones Doxycycline or Minocycline Chloramphenicol Ref: Harrison's ; Ananthanarayana 10th edition/156